Microsomal enzyme induction with alcohol, warfarin and phenytoin results in certain changes in the liver biochemistry. What are the specific changes associated with this effect?
1. Transient steatohepatitis
2. Granulomatous changes
3. Transient elevation in bilirubin and transaminase
4. Sustained elevation in GGT and ALP

Correct answer: 4. Sustained elevation in GGT and ALP

Explanation: Sustained elevation in GGT ALP is seen with phenytoin, alcohol, warfarin and rifampicin is seen due to induction of hepatic CYP enzymes and this phenomenon is often referred to microsomal enzyme induction. Ref : Schiff's diseases of liver, Edition -11 , Page - 715.